The final sugars in intestinal chyme are
1. Glucose and fructose
2. Ribose and mannose
3. Ribose and xylulose
4. Xylulose and fructose

Correct answer: 1. Glucose and fructose